MC tumors of kidney in children?
1. Wilms tumor
2. Neuroblastoma
3. PCKD
4. Angioliposarcoma

Correct answer: 1. Wilms tumor

Explanation: Ans. (a) Wilms tumor(Ref: Nelson 20th ed/ pg 2466-68)Wilms tumor (WT), also known as nephroblastoma, is the most common primary malignant renal tumor of childhood; It is the second most common malignant abdominal tumor in childhood. The most common sites of metastases are the lungs, regional lymph nodes, and liver.